All of the following conditions can cause interstitial nephritis except:
1. Infections
2. Hepatorenal syndrome
3. Lymphoma
4. Sarcoidosis

Correct answer: 2. Hepatorenal syndrome

Explanation: Hepatorenal syndrome It occurs due to fulminant hepatic failure, end-stage liver disease, Weil's disease and leads to prerenal acute kidney injury. Type 1 hepatorenal syndrome presents with AKI while Type 2 presents with refractory ascites Infections Inflammation or fibrosis of the renal interstitium and atrophy of the tubular compartment are seen with infections like Streptococcus, Staphylococcus etc Lymphoma Interstitial infiltration by malignant B lymphocytes is a common autopsy finding in patients dying of CLL, NHL Sarcoidosis It leads to chronic hypercalcemia and resultant hypercalcemic nephropathy affecting interstitium